All are causes of immune complex associated MPGN in adult population,EXCEPT:
1. Infective endocarditis
2. SLE
3. Monoclonal gammopathy of undetermined significance
4. INH

Correct answer: 4. INH

Explanation: Immunoglobulin-positive MPGN Antigenic stimulus Associated systemic disease Infectious Viral: hepatitis B and C; HIV Bacterial: endocarditis; shunt nephritis; abscesses Protozoal: malaria; schistosomiasis Others: mycoplasma; mycobacterial Autoimmune diseases Systemic lupus erythematosus Scleroderma Sjogren's syndrome Mixed cryoglobulinemia Monoclonal immunoglobulins and paraproteinemias MGUS Leukemias Lymphomas Myeloma Miscellaneous Liver disease hepatitis cirrhosis Carcinoma Sarcoidosis Drugs Idiopathic Ref:Kidney International (2012) 81, 434-441.